In osmotic diuresis there is:
1. Increase in renal blood flow
2. Increase in glomerular filtration rate
3. Increase in NaCl concentration in urine
4. Decrease in reabsorption of NaCl

Correct answer: 4. Decrease in reabsorption of NaCl